Structure passing deep to medial malleolus is ?
1. Post tibial artery
2. Long saphenous vein
3. Tibialis ant. tendon
4. Peroneus tertius

Correct answer: 1. Post tibial artery

Explanation: Ans. is 'a' i.e., Post tibial artery Posterior tibial artery terminates behind the medial malleolus by dividing into medial and lateral plantar arteries.